Most common shoulder dislocation is
1. Luxatio erecta
2. Posterior
3. superior
4. Anterior

Correct answer: 4. Anterior

Explanation: The shoulder joint is the commonest joint inhuman body to dislocateThis is because shoulder joint is vulnerable to dislocation more often than any other joint in the bodyThe extreme mobility it enjoys jeopardizes its stabilityThe shoulder joint has an "Achilles point" at inferior part of the capsule providing the joint with a potential weak spot, so much so 90 percent of the anterior dislocation occurs here95% of shoulder dislocations are anterior and the remaining 5% are posterior(Refer: Mohindra's Fundamentals of Orthopedics, 2nd edition, pg no. 65)